With which of the following instrument stability is highest during scaling and root planning?
1. Files
2. HOE scaler
3. Chisel
4. Sickle scaler

Correct answer: 2. HOE scaler